Which of the following is used in quantifying hirsutism?
1. Bishop score
2. Rotterdam criteria
3. Ferriman-Gallwey score
4. American fertility society (AFS) score

Correct answer: 3. Ferriman-Gallwey score

Explanation: The Ferriman-Gallwey score is a method of evaluating and quantifying Hirsutism in women. In the modified method, hair growth is rated from 0 (no growth of terminal hair) to 4 (extensive hair growth) in each of the 9 locations. A patient's score may therefore range from a minimum score of 0 to a maximum score of 36. Score >=8 - Hirsutism